Not secreted by sertoli cells -
1. Androgen
2. Aromatase
3. Inhibin
4. ABP

Correct answer: 1. Androgen

Explanation: Ans. is 'a' i.e., Androgen o Sertoli cells are under the control of FSH, i.e., have receptors for FSH. When stimulated by FSH, these cells secrete androgen binding protein (ABP), inhibin and MIS (mullerian inhibiting substance). Sertoli cells also contain aromatase; the enzyme that converts androgens to estrogens. Beside these hormonal function, junction between adjacent sertoli cells forms biood-testis barrier which does not a!lowr harmful substances to enter the area where spermatogenesis is going on. Sertoli cells also have receptors for androgens (testosterone) which stimulates spermatogenesis.